NSAIDS cause gastric ulcer because-
1. They inhibit COX - 2 enzyme
2. They inhibit mucus production
3. They increase HCI production
4. They delay gastric emptying

Correct answer: 2. They inhibit mucus production

Explanation: Ans. is 'b' i.e., They inhibit mucus production o Normally, gastric mucosal PGs are produced by COX - 1. o Prostaglandins function as natural ulcer protectives by enhancing gastric mucus and HCO3- production, as well as by improving mucosal circulation and health. The ulcerogenic action of NSAIDs may be due to loss of this protective influence. o PGE analogues are cytoprotective at low doses and inhibit gastric acid secretion at higher doses. NSAIDs inhibit prostaglandin secretion and thus antagonizes its cytoprotective effect. o Misoprostol is used in NSAIDs induced ulcers.